CA - 125 is specific marker of :
1. Choriocarcinoma
2. Teratoma
3. Epithelial cell carcinoma of ovary
4. Seminoma

Correct answer: 3. Epithelial cell carcinoma of ovary

Explanation: Ans. is c i.e. Epithelial cell ca of ovary